Treatment of CBD stones include all except
1. Endoscopic papillotomy
2. ERCP
3. Choledochotomy
4. Ursodeoxycholic acid

Correct answer: 4. Ursodeoxycholic acid

Explanation: Treatment of CBD stones ERCP Laparoscopic CBD exploration Open CBD exploration Ref: Sabiston 20th edition Pgno :1494